Glutathione peroxidase contains the following metal ion:
1. Chromium
2. Manganese
3. Zinc
4. Selenium

Correct answer: 4. Selenium

Explanation: In red blood cells, the pentose phosphate pathway is the sole source of NADPH for the reduction of oxidized glutathione catalyzed by glutathione reductase, a flavoprotein containing FAD. Reduced glutathione removes H2O2 in a reaction catalyzed by glutathione peroxidase, an enzyme that contains the selenium analog of cysteine (selenocysteine) at the active site. Ref: Bender D.A., Mayes P.A. (2011). Chapter 21. The Pentose Phosphate Pathway & Other Pathways of Hexose Metabolism. In D.A. Bender, K.M. Botham, P.A. Weil, P.J. Kennelly, R.K. Murray, V.W. Rodwell (Eds), Harper's Illustrated Biochemistry, 29e.